Narcotic of choice for out patient anesthesia:
1. Morphine
2. Alfentanyl
3. Fentanyl
4. Pethidine

Correct answer: 2. Alfentanyl

Explanation: B i.e. Alfentanyl All of these are short acting narcotic analgesics the shortest acting among them is Remifentanil. Drug Onset Duration of action Remifentanil 30 - 60 second 3 - 5 minute Alfentanil 0.5 minute 5 - 10 minute Fentanyl & Sufentanil 1 - 4 minute 30 minute . - Remifentanyl, Alfentanyl & Sufentanil have short duration of action so can be used as outpatient anesthetic agents. Desflurane & Sevoflurane provide the fastest wake up time among volatile anesthetic outpatient agents.